Thiazides can cause
1. Hyperkalemic paralysis
2. Hypouricemia
3. Hypolipidemia
4. Impotence

Correct answer: 4. Impotence

Explanation: Anti hypertensive agents like thiazides and -blockers can cause impotence. It is maximum with thiazides among anti-hypertensive drugs and is thought to be due to volume depletion.